Nikolsky's sign is positive in each of the following conditions, EXCEPT:
1. Pemphigus
2. Toxic epidermal necrolysis
3. staphylococcal scalded skin syndrome
4. Psoriasis

Correct answer: 4. Psoriasis

Explanation: The Nikolsky phenomenon is positive when the epidermis is dislodged from the dermis by lateral, shearing pressure with a finger, resulting in an erosion. It is an important diagnostic sign in acantholytic disorders such as pemphigus or the staphylococcal scalded skin (SSS) syndrome or other blistering or epidermonecrotic disorders, such as toxic epidermal necrolysis. Ref: (2013). Introduction. In Wolff K, Johnson R, Saavedra A.P. (Eds), Fitzpatrick's Color Atlas and Synopsis of Clinical Dermatology, 7e.